Wobble hypothesis -regarding the variation true is:
1. 3 - end of anticodon
2. 5 - end of anticodon
3. m-RNA
4. t-RNA

Correct answer: 2. 5 - end of anticodon

Explanation: B i.e., 5-end of anticodon